Which of the following is NOT a myeloproliferative disease:
1. Polycythemia rubra vera
2. Acute myeloid leukemia
3. Chronic myeloid leukemia
4. Essential thrombocytosis

Correct answer: 2. Acute myeloid leukemia

Explanation: Answer is B (Acute myeloid leukemia) The myeloproliferative disorders are characterized pathophysiologically by clonal expression of a multipotent hematopoitic progenitor cell with the overproduction of one or more of the formed elements of Blood. These disorders may transform into acute leukemia naturally or as a consequence of mutagenic treatment. Myeloproliferative disorders classically include: - Polycythemia veraQ - Idiopathic myelofibrosisQ - Essential thrombocytosisQ - Chronic myeloid leukemiaQ